'Brush burn' is
1. An abrasion
2. Electric bum
3. Chemical bum
4. Contusion

Correct answer: 1. An abrasion

Explanation: Ans. a (An abrasion) (Ref. FMT by Reddy. 27th/ Pg. 145 & FMT by Krishan Vij 4th/Pg. 282-283).# An abrasion (or a graze) is a superficial injury involving only the outer layers of the skin and not penetrating the full thickness of the epidermis.# A graze is an injury, which is produced when a broad surface of the skin slides or scrapes against a rough surface.# It is also k/a 'brush burn' as it is caused by the frictional force of rubbing against a surface causes it; resembles a bum.ABRASIONS (GRAZES, SCRATCHES, BRUSH BURNS)# Loss/crushing of outer skin layer due to impact with a rough surface- Tangential impact produces a moving abrasion:# Indicates direction.# Trace material (e.g., grit).- Direct impact produces an imprint abrasion:# Pattern of causative object.# All abrasions reflect site of impact (contrast bruises).# Assessment of age difficult.# Postmortem abrasion - Brown, leathery.- Patterned Abrasions:o Patterned abrasions occur when the force is applied at or around right angle to the surface of skin. The classical example of this is seen in traffic accidents when tyre of a motor car passes over the skin leaving the pattern when the skin has been squeezed into the grooves of the rubber thread.- Pressure Abrasions (Crushing Abrasions / Imprint Abrasions):o When the impact is vertical to the skin surface, the epidermis gets crushed and pressure type of abrasions result and the imprint of the impacting object may be produced. These may be seen in manual strangulation (abrasions produced by fingernails) and in hanging, where weave of the ligature material may be reproduced.